Sweaty feet odor in urine is seen in ?
1. Phenylketonuria
2. Maple syrup urine
3. Isovaleric acidemia
4. Alkaptonuria

Correct answer: 3. Isovaleric acidemia

Explanation: Ans. is 'c' i.e., Isovaleric acidemia "Sweaty Feet" odour is seen in isovaleric acidemia & glutaric aciduria"Mousy or Musty Odour" of skin, hair and urine is seen in PKU.Burnt sugar like odour is seen in MSU disease (Branched chain ketonuria).Boiled cabbage like urinary odour is seen in - Tyrosinemia & hypermethioninemia.Swimming pool urine odour is seen in - Hawkinsinuria